The following factors are derived from the endothelial cell except -
1. Thrombomodul in
2. Protein S
3. Prostacyclin
4. Thromboxane A2

Correct answer: 4. Thromboxane A2

Explanation: Ans. is d i.e., Thromboxane-A2 Endothelial cells o Endothelial cells comprise the single cell-thick, continuous lining of the entire cardiovascular system, collectively called endothelium. o Endothelial structural and functional integrity is fundamental to maintenance of vessel wall hemostasis and normal circulatory function. Endothelial cell function Anticoagulant, antithrombotic activity o Prostacyclin (PGI2) o Protein 'S' o Thrombomodulin o Endothelium derived nitric oxide (NO) o Heparin like molecule Fibrinolytic activity o Plasminogen activator Vosoconstriction o Endothelin o ACE Cell growth stimulators o PDGF. CSF, FGF Inflammation and immunity o IL-I, IL-6 o VCAM-I, ICAM, 'E' & 'P' selectins o HLA Prothrombotic activity o Von-willebrand factor (VWF) o Tissue factor Antifibrinolytic activity o Plasminogen activator inhibitor Vasodilatation o NO o Prostacyclin Cell growth inhibitors o Heparin, TGF-B Note - Von-willebrand factor lies inside Weibel - Palade bodies.